A patient with chronic renal failure and bone pains will have deficiency of which vitamin:
1. Vitamin A
2. Vitamin B
3. Vitamin C
4. Vitamin D

Correct answer: 4. Vitamin D